Epulis arises from -
1. Enamel
2. Root of teeth
3. Gingiva
4. Pulp

Correct answer: 3. Gingiva

Explanation: Gingiva Epulis literally means 'upon the gum'. Thus it is a swelling situated on the gum. It can originate from the mucous membrane, the periosteum or the bone giving rise to different varieties of Epulis. Ref : Bailey and love surgery text book 27th Ed.